Which is the most common mode of transmission of HSV 1
1. Saliva
2. Blood
3. Sexual transmission
4. Placental transmission

Correct answer: 1. Saliva

Explanation: Transmission requires direct contact with secretions containing virus. Salivary is the most common mode of transmission of HSV-1, although sexual, blood, and placental transmission are also possible. Many transmissions occur in childhood via nonsexual contact, including kissing or sharing eating utensils, lip balms, or towels.